Alpha Coma is seen in?
1. Diffuse Cortical Damage
2. Hyperthermia
3. Neurosarcoidosis
4. Critical illness polyneuropathy

Correct answer: 1. Diffuse Cortical Damage

Explanation: Alpha-coma denotes the conjunction of clinical coma with an EEG pattern resembling that of normal wakefulness and predominantly consisting of alpha activity Alpha rhythm has discharge frequency of 8-13 Hz. MC etiologic factors of this pattern are: Diffuse hypoxic encephalopathy, Encephalitis, Head trauma, Metabolic disorders, Drug overdose.